The most common cardiac involvement in rheumatoid arthritis is:
1. Cardiomyopathy
2. Pericarditis
3. Myocarditis
4. Endocarditis

Correct answer: 2. Pericarditis

Explanation: Most frequent cardiac involvement in RA is pericarditis followed by cardiomyopathy Patients with RA also have heightened risk of premature atherosclerosis, and hence adherence to primary prevention guidelines is mandatory The prevalence of carotid atherosclerosis in RA is at least as high as in diabetes mellitus.